The most sensitive indicator of 'Environmental iodine deficiency' is:-
1. Serum T4 levels
2. Serum T3 levels
3. Urine iodine excretion
4. Neonatal hypothyroidism

Correct answer: 4. Neonatal hypothyroidism

Explanation: Neonatal hypothyroidism is the most sensitive indicator of environmental iodine deficiency. Other useful indicators for assessment of Iodine deficiency: Prevalence of goiter Prevalence of cretinism Urinary iodine excretion (Major impact indicator) Measurement of thyroid function by determination of serum T4, TSH.